Treatment of pelvic abscess which extends into pouch of Douglas:
1. Hysterotomy
2. Posterior colpotomy
3. Transabdominal drainage
4. Colpography

Correct answer: 2. Posterior colpotomy

Explanation: Ans. B i.e. Posterior colpotomy Vaginal drainage of a pelvic abscess (posterior colpotomy) is indicated when a pelvic abscess extends into the pouch of Douglas.